What is the main constituent gas in CNG ?
1. Acetylene
2. Butane
3. Ethane
4. Methane

Correct answer: 4. Methane